Dementia of Alzheimer's type is not associated with one of the following -
1. Depressive symptoms
2. Delusions
3. Apraxia and aphasia
4. Cerebral infarcts

Correct answer: 4. Cerebral infarcts

Explanation: Cerebral infarct is seen in vascular dementia (not in Alzheimer's disease).
All the other symptoms given in options can occur in Alzheimer's disease.